The following drugs have significant drug interactions with digoxin except:
1. Cholestyramine
2. Thiazide diuretics
3. Quinidine
4. Amlodipine

Correct answer: 4. Amlodipine

Explanation: Ref:KDT 6/e p499 Cholestyramine inhibits itestinal absorption of digoxin. Thiazides result in hypokalemia and thus make precipitate digitalis toxicity by pharmacodynamic interaction. Quinidine and verampil reduces the exceion of digoxin and does make precipitate toxicity (pharmacokinetic interaction)